The following pathogen does not satisfy 'Koch's postulates'-
1. Bacillus anthrax
2. Mycobacterium tubercolosis
3. Clostridium tetani
4. Lepra bacilli

Correct answer: 4. Lepra bacilli

Explanation: Mycobacterium leprae is viable but not culturable. That cannot be isolated in cell-free culture. Can be grown in the footpad of mice.It is a long and strenuos process REF:Textbook of Microbiology, Ananthanarayan, and Paniker. Page no.: 346, 364